Particle size which is inhaled by lung and causes damage is:
1. <0.5 micron
2. 0.5 - 3 micron
3. 3-5 micron
4. 5-10 micron

Correct answer: 2. 0.5 - 3 micron

Explanation: Particle size and lung damage: Particle size Remarks <0.5 micron Brownian motion 0.5 - 3 micron Most dangerous particle size 3-5 micron Trapped by mid - respiratory tract 5-10 micron Trapped by upper - respiratory tract > 10 micron Settle by gravity